The marker used for determining efficacy of Hepatitis B Vaccination is?
1. HBsAg
2. IgM anti HBcAg
3. IgG anti HBcAg
4. Anti HBsAg

Correct answer: 4. Anti HBsAg

Explanation: ANSWER: (D) Anti HBsAgREF: APPENDIX-28 below for "MARKERS OF HEPATITIS-B""Positive Anti HBsAg determines the efficacy of hepatitis B vaccination" APPENDIX - 28Markers of Hepatitis-BWeeks after exposureTestsResultsInterpretationHBsAgAnti-HBcAnti-HBsNegativeNegativeNegativeSusceptibleHBsAgAnti-HBcAnti-HBsNegativePositivePositiveImmune due to natural infectionHBsAgAnti-HBcAnti-HBsNegativeNegativePositiveImmune due to hepatitis B vaccinationHBsAg Anti-HBc IgM anti-HBc Anti-HBsPositivePositivePositiveNegativeAcutely infectedHBsAg Anti-HBc IgM anti-HBc Anti-HBsPositivePositiveNegativeNegativeChronically infectedHBsAgAnti-HBcAnti-HBsNegativePositiveNegativeInterpretation unclear' four possibilities:1. Resolved Infection (most common)2. False-positive anti-HBc, thus susceptible3. "Low level" chronic infection4. Resolving acute infection